Spalding sign is -
1. Overlapping of skull bones
2. Hyperflexion of spine
3. Gas in great vessel
4. Over crowding of ribs

Correct answer: 1. Overlapping of skull bones

Explanation: Ans. is 'a' i.e., Overlapping of skull bones Radiological signs of 1UFDSignInterval (After Death)Robert sign (gas in great vessels)12 hSpalding sign (overlapping of skull bones)1 weekBlair-Hartley/ Ball sign (hyperflexion/ hyperextension of spine with overcrowding of ribs3-4 weeks